Direct standardization is used to compare the mortality rates between two countries. This is done because of the difference in -
1. Cause of death
2. Numerators
3. Age distributions
4. Denominators

Correct answer: 3. Age distributions

Explanation: ref: Park's 23rd edition pg 58 A standard population is defined as the one for which the numbers in each age and sex group are known.